Investigation of choice for nasopharyngeal angiofibroma?
1. X-ray
2. MRI
3. Plane-CT
4. CT- contrast

Correct answer: 4. CT- contrast

Explanation: Ans. is'd'i.e., CT contrastRef: Dhingra Sth/e p. 262CT scan of head with contrast enhancement is the investigation of choice for JNA.